M/C site of cholangio CA:
1. ntrahepatic
2. Distal biliary tract
3. Hilum
4. Multifocal

Correct answer: 3. Hilum

Explanation: Hilum Risk factor for cholangio carcinoma * Primary sclerosing cholangitis * Choledochal cyst * Ulcerative colitis * Clonorchis sinensis injection * Chronic typhoid carries 2/3 of cholangio carcinoma are located at hepatic duct bifurcation here they are called as KLATSKIN's tumoursQ M/C type is adeno carcinomaQ *Painless jaundice is the most common presentation